Which of the following does NOT have dual nerve supply
1. Flexor Policis Brevis
2. Abductor Policis Brevis
3. Flexor digitorum profundus
4. Pectoralis major

Correct answer: 2. Abductor Policis Brevis

Explanation: Flexor Policis Brevis- superficial head by median and deep by Ulnar,
Flexor digitorum profundus- Lateral half by Median and Medial Half by Ulnar,
Pectoralis major by Medial nad Lateral Pectoral Nerve